Peripheral chemoreceptors respond to hypoxia using which channel?
1. Calcium channel
2. Sodium channel
3. Potassium channel
4. Chloride channel

Correct answer: 3. Potassium channel

Explanation: PERIPHERAL CHEMORECEPTOR: - Located in several areas outside the brain, mostly in carotid bodies & aortic bodies - They are especially important for detecting changes in O2 in the blood (lesser extent to changes in CO2 & H+ ion concentration) - Aortic & carotid bodies have multiple, highly characteristic glandular like cells called "GLOMUS CELLS" that synapse directly or indirectly with nerve endings, (they serve as chemoreceptor) - Low Po2 stimulate glomus cells in aortic & carotid bodies | O2 sensitive potassium channels in glomus cells are inactivated |Resulting in Cell depolarization |Which in turn Opens voltage gated calcium channels & Increases Intracellular Ca ion concentration | Stimulate neuro transmitter release | Which activates afferent neurons that sends signals to CNS | Stimulates respiration - During hypoxia ATP (mainly), ach / dopamine are excitatory Neurotransmitters.